Example for radiation induced cancer is ?
1. Papillary carcinoma thyroid
2. Follicular carcinoma thyroid
3. Lymphoma
4. Hepatoma

Correct answer: 1. Papillary carcinoma thyroid

Explanation: Ans. is 'a' i.e., Papillary Carcinoma thyroid Radiation induced cancers Leukemias o Breast Carcinoma Papillary carcinoma of thyroid. o Squamous cell and Basal cell carcinoma of skin.